Bankart's lesion involves
1. Anterior aspect of the head of humerus
2. Anterior aspect of glenoid labrum
3. Posterior aspect of glenoid labrum
4. Posterior aspect of head of humerus

Correct answer: 2. Anterior aspect of glenoid labrum

Explanation: B i.e. Anterior aspect of glenoid labrum